Which of the following blood disease has a racial predilection?
1. Purpura
2. Hemophilia
3. Polycythemia
4. Thalassemia

Correct answer: 4. Thalassemia